The technique of laparoscopic cholecystectomy was first described by.
1. Sleisinger
2. Eric Muhe
3. Kurt semm
4. Starzl

Correct answer: 2. Eric Muhe

Explanation: Ans. (b) Erich MuheRef Blumgart 5/e p 512* 1st Lap Cholecystectomy was done by ERIC MUHE in 1982.* 1st Lap Appendectomy was done by KURT SEMM in 1980